Tooth Brush has bristles arranged in
1. 2 -3 rows
2. 2-4 rows
3. 3-4 rows
4. 1-2 rows

Correct answer: 2. 2-4 rows